Vertical transmission is by-
1. Mosquitoes
2. Direct contact
3. Droplet
4. Placenta

Correct answer: 4. Placenta

Explanation: When the infectious agent is transmitted vertically from infected female to her progeny in the vector is known as transovarial transmission.Transmission of the disease agent from one stage of the life cycle to another as for example nymph to adult is known as transstadial transmission (refer pgno:98 park 23rd edition)